The extraoral radiograph that best demonstrates the 18. subcondylar portion of mandible is the:
1. AP mandible
2. Water's view
3. Towne's view
4. Submental vertex

Correct answer: 3. Towne's view